Confirmatory test for syphilis:-
1. VDRL
2. FTAABS
3. RPR
4. Kahn test

Correct answer: 2. FTAABS

Explanation: Confirmatory/Specific/Treponemal tests: Specific antibodies are detected by using T.pallidum antigens TPI (Treponema pallidum immobilization test): Uses live T.pallidum FTA-ABS (Fluorescent treponemal antibody absorption test): Uses killed T.pallidum TPA (T.pallidum agglutination test): Uses killed T.pallidum TPIA (T.pallidum immune adherence test): Uses killed T.pallidum TPHA (T.pallidum hemagglutination test): Uses antigenic extract of T.pallidum